A 8th week pregnant women presents with mild vaginal bleeding and pain in the lower abdomen. The size of the uterus is 8 weeks. The cause is
1. Threatened abortion
2. Inevitable abortion
3. Incomplete abortion
4. Induced abortion

Correct answer: 1. Threatened abortion

Explanation: A i.e. (Threatened abortion) (161 - 165 - Dutta 6th)THREATENED ABORTIONINEVITABLE ABORTIONINCOMPLETE ABORTION* Clinical entity where the process of abortion has started but has not progressed to a state from which recovery is impossible* Bleeding per vaginam is usally slight and bright red in colour. Bleeding stops spontaneously* Bleeding is painless mild backache or dull pain in lower abdomen**. Pain appears usually following haemorrhage(i) Closed external os(ii) Uterine size corresponds to the period of amenorrhoea**(iii) Uterus and cervix feel soft* A state from where continuation of pregnancy is impossible* Increased vaginal bleeding* Aggravation of pain in the lower abdomen (colicky in nature)* Dilated internal os of the cervix through which the products of conception are felt* The general condition of the patient is proportionate to the visible blood loss.* When the entire products of conception are not expelled, instead a part of it is left inside the uterine cavity* This is the commonest type met amongst women, hospitalized for abortion complications* History of expulsion of a fleshy mass per vaginum*** Continuation of pain lower abdomen coliky in nature* Persistence of vaginal bleeding of varying magnitude* Uterus smaller than the period of amonorrhea*** Patulous cervical is often admitting tip of the finger* Varying amounts of bleeding* Expelled mass is found incomplete* Mifepristone is used in Threatened abortion*** HIV is associated with minimal teratogenic risk to the fetus**